The most reliable investigation in amyloid disease is -
1. Rectal biopsy
2. Immunoglobulin assay
3. Ultrasound
4. Urine examination

Correct answer: 1. Rectal biopsy

Explanation: Ans. is 'a' i.e., Rectal biopsy